Tuohy needle is used for –
1. Spinal anaesthesia
2. Epidural anaesthesia
3. CSF tapping
4. Biopsy

Correct answer: 2. Epidural anaesthesia

Explanation: Tuohy needle is the most commonly used needle for epidural anesthesia. Other one is crawford needle.